Disciplinary control over Registered Medical Practitioners is under :
1. State Medical Council
2. Indian Medical Council
3. Director of Medical and Health Services
4. Health secretary of State Government

Correct answer: 1. State Medical Council

Explanation: A i.e. State medical council State Medical Councils exercise disciplinary controlQ over their members for serious profession misconduct by reprimanding or erasing their name temporarily or permanently from the Register. This is k/a Panel erasure or the professional death sentence, which deprives him of all the privileges of registered practitioner. Medical practitioner may appeal to Central Health Ministry - against the decision, and the Ministry in consultation with IMC can modify the decision.